Fibrinoid necrosis may be observed in all of the following,except
1. Malignant hypertension
2. Polyarthritis nodosa
3. Diabetic glomerulosclerosis
4. Aschoff's nodules

Correct answer: 3. Diabetic glomerulosclerosis

Explanation: Ref , Robbins 7/e p214 ,594,1008,9/e p44..